In walking, gravity tends to tilt pelvis and trunk to the unsupported side, major factor in preventing this unwanted movement is?
1. Adductor muscles
2. Quadriceps
3. Gluteus maximus
4. Gluteus medius and minimus

Correct answer: 4. Gluteus medius and minimus

Explanation: Gluteus medius and minimus